In which stage of anaesthesia patient becomes hyperactive:
1. Stage 1
2. Stage 2
3. Stage 3
4. Stage 4

Correct answer: 2. Stage 2

Explanation: Stage I – Analgesia and conscious sedation
Stage II – Stage of delerium
Stage III – Stage of surgical anesthesia

Plane I – Pupils dilate progressively with the depth of anesthesia. Lid reflex, swallowing, retching and vomiting get abolished. Corneal reflex present. Conjunctival reflex is absent. Pharyngeal reflex lost.
Plane II – Eye balls fixed, reflexes arising from the larynx also abolished.
Plane III – Asynchrony between thoracic and abdominal movements. Progressive paralysis of intercostal muscles, pupillary light reflex and the corneal reflex is lost.
Plane IV – Complete intercostal muscle paralysis. Pupils are dilated. Muscles are flaccid.

Stage IV – Stage of respiratory paralysis